Glucagon is most effective for which of the following conditions ?
1. Cocaine intake with BP of 180/110 mmHg
2. Old man with decreased BP/decreased heart rate due to atenolol
3. Old man with type 2 diabetes mellitus and no glipizide for 4 days
4. Female with lactic acidosis due to shock

Correct answer: 2. Old man with decreased BP/decreased heart rate due to atenolol